Anandamide is -
1. Opioid
2. CK 1 antagonist
3. D2 blocker
4. Cannabinoid neurotransmitter

Correct answer: 4. Cannabinoid neurotransmitter

Explanation: Ans. is 'd' i.e., Cannabinoid neurotransmitter o Anandamide, also known as N-arachidonoylethanolamine or AEA, is an endogenous cannabinoid neurotransmitter,o The name is taken from the Sanskrit word Ananda, which means "bliss, delight", and amide,o It is synthesized from N-arachidonoyl phosphatidylethanolamine by multiple pathways.o It is degraded primarily by the fatty acid amide hydrolase (FAAH) enzyme, which converts anandamide into ethanolamine and arachidonic acid.o As such, inhibitors of FAAH lead to elevated anandamide levels and are being pursued for therapeutic use.